All are true about branches of aorta are all except?
1. Gives three branches
2. Branches arise from convexity
3. Branchiocephalic trunk arise from arch of aorta
4. Coronary arteries arise from arch of aorta

Correct answer: 4. Coronary arteries arise from arch of aorta

Explanation: Ans. is 'd' i.e., Coronary arteries arise from arch of aorta Arch of aorta It lies in the superior mediastinum, behind the lower half of manubrium sterni. It begins as a continuation of ascending aorta at the level of upper border of right second sternocostal junction (sternal angle) and continues as descending aorta on the left side at lower border of T4 vertebra. Thus begining and end of arch of aorta are at the same level, although it begins anteriorly and ends posteriorly. Arch of aorta has following features :- i) Left surface is crossed by 4 nerves from anterior to posterior : left phrenic, superior cervical cardiac branch of left sympathetic trunk, inferior cervical cardiac branch of left vagus, and left vagus nerve. ii) Left recurrent laryngeal nerve winds round the arch. iii) Three branches arise from convexity :- brachiocephalic trunk, left common carotid artery and left subclavian artery.